Broca's area is located in?
1. Superior frontal gyrus
2. Inferior frontal gyrus
3. Cingulate sulcus
4. Insula

Correct answer: 2. Inferior frontal gyrus

Explanation: ANSWER: (B) Inferior frontal gyrusREF: Gray's anatomy 39th edition, page 415Broca's area(Brodmann area 44)(inferior frontal gyrus)Wernicke's area(Brodmann area 22)(superior temporal gyrus)Also know:Type of AphasiaRepetitionAuditory ComprehensionFluencyBroca'sMod-severeMild difficultyNon-fluent, effortful, slowWernicke's (AKA- fluent or jargon aphasia)Mild-severeDefectiveFluent paraphasicConductionPoorRelatively goodFluentMixed TranscorticalModeratePoorNon-fluentTranscortical MotorGoodMildNon-fluentTranscortical SensoryGoodPoorFluentGlobalPoorPoorNon-fluentAnomicMildMildFluent